During examination of parotid gland, parotid duct can be palpated at the following except:
1. Anterior border of masseter
2. At the opening just opposite to lower second molar
3. Pierced to the buccinator
4. At the anterior border of parotid gland

Correct answer: 2. At the opening just opposite to lower second molar

Explanation: Parotid Duct (Stenson’s Duct)
Parotid duct, about 5 cm long, emerges from the middle of the anterior border of the gland and opens into the vestibule of the mouth opposite the crown of upper second molar tooth.